Which of the following drugs is NOT excreted in bile:
1. Erythromycin
2. Ampicillin
3. Rifampicin
4. Gentamicin

Correct answer: 4. Gentamicin

Explanation: (Ref: KDT 6/e p674) Gentamicin is an aminoglycoside and is excreted renal route.